Phagocytosis in brain is caused by ?
1. Astrocytes
2. Microglia
3. Oligodendrocytes
4. Ependymal cells

Correct answer: 2. Microglia

Explanation: Ans. is 'b' i.e., Microglia